Apex of lung is best assessed by –
1. AP view
2. PA view
3. Lordotic view
4. Oblique view

Correct answer: 3. Lordotic view

Explanation: Apical lordotic view is used for lung apices, and for recognizing the collapse of lingula or middle lobe.